The chromosomal disorder in patau Syndrome is:
1. Chromosome 21
2. Chromosome 18
3. Chromosome 13
4. Chromosome 45x / 46xx

Correct answer: 3. Chromosome 13

Explanation: (Chromosome 13) (593-G) (615-Ghai 7th)* Down syndrome - 21* Edwards syndrome - 18* Patau syndrome - 13* Turner's syndrome - 45X/ 46XX* Klinefelter syndrome - 47XXY